Which of the folloowing is not true about pulmonary embolus
1. Most of the emboli cause infarction
2. Most lesions affect are in the lower lobes
3. Small arterioles are blocked
4. Saddle embolus may cause sudden death

Correct answer: 1. Most of the emboli cause infarction

Explanation: • Large emboli lodge in the main pulmonary artery or its major branches or at the bifurcation as a saddle embolus. It may lead to sudden death.
• Smaller emboli travel out into the more peripheral vessels, where they may cause hemorrhage or infarction. In patients with adequate cardiovascular function, the bronchial arterial supply can sustain the lung parenchyma. Hemorrhages may occur, but there is no infarction. The underlying pulmonary architecture is preserved, and resorption of the blood permits reconstitution of the preexisting architecture.
Also know: NEET points
• Only about 10% of emboli actually cause infarction, which occurs when the circulation is already inadequate, as in patients with heart or lung disease.
• Pulmonaryinfarcts tend to be uncommon in the young.
• About 3/4thof all infarcts affect the lower lobes 
• Inmore than half, multiple lesions occur.
• Typically, they extend to the periphery of the lung substance as a wedge with the apex pointing toward the hilus of the lung.